Best investigation to diagnose fetal age is :
1. Serial Ultrasound
2. Amniocentesis
3. Fundal height measurement
4. X-ray

Correct answer: 1. Serial Ultrasound

Explanation: Serial Ultrasound